Geniculate ganglion is concerned with
1. Taste
2. Lacrimation
3. Saliva
4. Sweating

Correct answer: 1. Taste